Causative organism of SARS -(
1. H1N1
2. Corona virus
3. Rotavirus
4. RSV

Correct answer: 2. Corona virus

Explanation: Ans. is 'b' i.e., Corona virus